Advantages of median episiotomy over mediolateral episiotomy are all except:
1. Less blood loss
2. Easy repair
3. Extension of the incision is easy
4. Muscles are not cut

Correct answer: 3. Extension of the incision is easy

Explanation: Ans. C: Extension of the Incision is Easy Mediolateral episiotomy is performed by making a diagonal incision across the midline between the vagina and anus This method is used much less often. The disadvantages are: Apposition of the tissues is not so good. May require more healing time than the midline incision. Blood loss is little more Postoperative discomfort is more Relative increased incidence of wound disruption Dyspareunia is comparatively more The advantages are: If necessary the incision can be extended. Relative safety from rectal involvement from extension.